Anti-hypertensive drug contraindicated in pregnancy is?
1. Enalapril
2. Cardio selective Beta blockers
3. Methyl dopa
4. Hydralazine

Correct answer: 1. Enalapril

Explanation: Enalapril REF: KDT ed p. 553 Also asked in June 2008 (OBG), December 2008 (pharm) Anti-hypertensive to be avoided in pregnancy Anti-hypertensive to be given in pregnancy * ACE-I , AT-1 blockers ( absolutely c/i) * Hydralazine * Diuretics * Methyl dopa * Non selective beta blockers * Dihydropyridine CCBs * Sodium nitroprusside * Cardioselective beta blockers and those with intrinsic sympathomimetic activities * Prazosine and clonidine